Reticulocytosis is NOT a feature of -
1. Paroxysmal nocturnal hemoglobinuria
2. Following acute bleeding
3. Hereditary spherocytosis
4. Anemia in CRF

Correct answer: 4. Anemia in CRF

Explanation: Reticulocytosis occurs in conditions of rapid cell regeneration such as after hemorrhage ,hemolysis, hematopoietic response of anaemia to treatment .But in anemia of chronic renal failure there is defective red cell production & reticulocyte count is generally low.

Reference : Hardh Mohan textbook of pathology 6 th edition pg no 288 & 302.